A 47 year old man presents to the hospital complaining of palpitations. The patient reports that while cooking breakfast this morning, he felt his heart "racing in his chest" and was unable to catch his breath. He states that sitting down brought no relief. He called for an ambulance and he was brought to the emergency department. The man has no significant past medical history and takes no medications regularly, other than ranitidine for occasional heartburn. On examination, the patient is quite thin, but well developed and in mild distress. His globes appear exophthalmic. His pulse is 140/min and irregularly irregular. There are no murmurs, and the lung examination is clear. A non-tender midline thyroid mass is palpable. Which of the following findings on his echocardiogram would suggest a diagnosis of long- standing atrial fibrillation?
1. Dilated left ventricle
2. Dilated right ventricle
3. Enlarged left atrium
4. Hypertrophied ventricular septum

Correct answer: 3. Enlarged left atrium

Explanation: Echocardiography is an invaluable tool for assessing cardiovascular function in both normal and disease states. In the case of atrial fibrillation (AF), a chronic course versus an acute and self-limited course portend completely different treatment strategies and long-term prognoses. The most common cause of chronic AF is valvular disease, followed by congestive heart failure (CHF). The most common anatomic correlate seen in patients with AF (Framingham Heart Study) is an enlarged left atrium. A dilated left ventricle is commonly seen with both CHF and AF. However, an enlarged left atrium is more closely correlated with chronic AF than is left ventricular dilation. The causal relationship between an enlarged left atrium and AF is unclear. A dilated right ventricle is commonly seen in severe right heart failure (RHF). The most common cause of RHF is left heart failure (LHF). There is no consistent relationship between right heart size and the presence of AF. A hypertrophied ventricular septum is commonly seen in hypertensive heart disease or idiopathic hypertrophic aortic stenosis. Chronic AF in these patients, however, is much less common. Ref: Prystowsky E.N., Padanilam B.J., Waldo A.L. (2011). Chapter 40. Atrial Fibrillation, Atrial Flutter, and Atrial Tachycardia. In V. Fuster, R.A. Walsh, R.A. Harrington (Eds), Hurst's The Heart, 13e.